Which of the following is a lyase ?
1. Decarboxylase
2. Synthetase
3. Kinase
4. Oxygenase

Correct answer: 1. Decarboxylase

Explanation: Ans. is 'a' i.e., Decarboxylase Enzyme classImportant enzymesOxidoreductaseOxidases, Dehydrogenases, Hydroperoxidases, (catalase, peroxidase), oxygenasesTransferaseAmino transferase or transaminase, e.g., SGOT (AST) and SGPT (ALT), kinases (Hexokinaseo glucokinase, pyruvate kinase etc), Transketolases, transaldolases, transcarboxylaseHydrolasesAll digestive enzymes (Pepsin, trypsin, lipases, esterases), lysosomal enzymes, urease, and phosphataseLyasesDecarboxylasesQ, aldolases, hydratases, enolase, fumaraseQ, ArginosuccinaselsomerasesRacemases, epimerases, cis- trans- isomerases, mutasesLigasesSynthatasesQ, Carboxylases, DNA ligase